Which does not predispose to cholangiocarcinoma:
1. Ulcerative colitis
2. Clonorchis sinensis
3. Choledochal cyst
4. Chronic pancreatitis

Correct answer: 4. Chronic pancreatitis

Explanation: Ans. is 'd' i.e., Chronic pancreatitis Risk factors for CholangiocarcinomaPrimary sclerosing cholangitisCholedochal cystUlcerative colitis Mnemonic 5 C'sClonorchis sinensis inf.Chronic typhoid carriersOther risk factorsHepatolithiasisBiliary enteric anastomosisLiver flukesDietary nitrosaminesExposure to thorotrast, dioxin